Digoxin toxicity is increased by all except:
1. Renal impairment
2. Hyperkalemia
3. Hypercalcemia
4. Hypomagnesemia

Correct answer: 2. Hyperkalemia

Explanation: Hypokalemia increases the binding of digoxin to Na-k ATPase and enhances its toxicity. Hypokalemia decreases digoxin toxicity Diuretics also interfere with the action of digoxin (REF. Essentials of medical pharmacology KD TRIPATHI 8th Edition)